Osmoreceptor is located at which site:
1. Anterior hypothalamus
2. Renal medulla
3. Carotid body
4. Atrial chamber

Correct answer: 1. Anterior hypothalamus

Explanation: Ans. A. Anterior hypothalamusAnterior hypothalamus FunctionIntegrating Area of hypothalamusOsmoreceptorAnterior HypothalamusTemperature regulationAnterior hypothalamus response to heat and posterior hypothalamus response to coldHungerAnterior ventral hypothalamus plus, in the male piriform cortexSexual behaviorAnterior ventral hypothalamus plus, in the male, piriform cortexCircadian RhythmSupra-chiasmatic nuclei